Length of the Fallopian tube is
1. 5 cms
2. 7 cms
3. 8.5 cms
4. 10 cms

Correct answer: 4. 10 cms

Explanation: Each uterine tube is a cylindrical, convoluted canal measuring 10cm in length (but, it can vary in length from 7 to 14 cm).This does not include the intramural portion within the uterine cornu, which has a length of approximately 1.5 cm. The uterine tube is enclosed within the upper margin of the broad ligament.Four parts of the uterine tube are: Infundibulum, with its abdominal or pelvic, orifice (external tubal ostium) which is related to the ovary its fimbria Ampulla Isthmus The fourth or uterine part, with its uterine orifice (internal ostium, also known as the intramural segment of the tube)